Which of the following investigation is preferred for diagnosis of vesicoureteric reflux:
1. Intravenous urography
2. Micturating cystourethrogram
3. Retrograde pyelography
4. Ultrasonography

Correct answer: 2. Micturating cystourethrogram

Explanation: Ans. (b) Micturating cystourethrogramRef: SRB Manual of Surgery 4th ed. /1118Steps in MCU# Catheterization to fill the bladder with a radio- contrast agent, typically cystografin.# Under fluoroscopy, we can see the contrast entering the bladder.# If the contrast moves into the ureters and back into the kidneys, the radiologist makes the diagnosis of vesicoureteral reflux.Indication of MCU* All males with recurrent UTIs, or abnormality on ultrasound if first UTI urinary tract infection* First episode UTI in females < 3 years of age* Febrile UTIs in females < 5 years of age* Older females with pyelonephritis or recurrent UTIs* Suspected obstruction (e.g. Bilateral hydronephrosis)* Suspected bladder trauma or rupture* Stress incontinence (urine)